Most important amino acid for formation Neutrophilic extracellular trap (NET) is
1. Leucine
2. Methionine
3. Citrulline
4. Valine

Correct answer: 3. Citrulline

Explanation: Conversion of arginine residues to Citrulline in the histones is an essential step in the formation of neutrophill extracillular traps.